Pick the false statement about embryonal rhabdomyosarcoma out of the following
1. It is seen in children younger than 5 years of age.
2. It is a malignant tumor
3. Gross appearance and consistency of grapelike clusters
4. Tumor cells have "tennis racket" granules inside them

Correct answer: 4. Tumor cells have "tennis racket" granules inside them

Explanation: Rhabdomyosarcoma Malignant mesenchymal tumour with skeletal muscle differentiation. IN LIGHT MICROSCOPY - tennis racket appearance is seen.(appearance, not granules of tennis shape) Three subtypes are recognized:- ALVEOLAR (20%) EMBRYONAL (60%) PLEOMORPHIC (20%). Rhabdomyosarcoma (alveolar and embryonal) is the most common soft tissue sarcoma of childhood and adolescence Embryonal rhabdomyosarcoma:- Presents as soft gray infiltrative mass. The tumor cells mimic skeletal muscle at various stages of embryogenesis and consist of sheets of both primitive round and spindled cells in a myxoid stroma. Rhabdomyoblasts with visible cross-striations may be present. Birbeck granules